Massive bleeding per rectum in a 70 years old patient is due to:
1. Diverticulosis
2. Carcinoma colon
3. Colitis
4. Polyps

Correct answer: 1. Diverticulosis

Explanation: COLONIC DIVERTICULA Mc cause of significant lower GI bleeding : Diverticula Bleeding occurs at the neck of the diverticulum and is believed to be secondary to bleeding from the vasa recti as they penetrate through the submucosa. Of those that bleed, more than 75% stop spontaneously, although about 10% rebleed within 1 year and almost 50% within 10 years. Although diverticular disease is much more common on the left side, right-sided disease is responsible for more than half episodes of bleeding. Best method of diagnosis and treatment: Colonoscopy Epinephrine injection, electrocautery, endoscopic clips to control the hemorrhage. If none of these maneuvers is successful or if hemorrhage recurs, Colonic resection is indicated. Mortality rate of emergent subtotal colectomy for bleeding :30%